Intellectual disability is seen in all except
1. Hurler
2. Sanfilippo
3. Hunter
4. Morquio

Correct answer: 4. Morquio

Explanation: Hurler-Scheie syndrome is a genetic disorder caused by the buildup of glycosaminoglycans (GAGs) in various organ tissues. It is a cutaneous condition, also characterized by mild intellectual disability and corneal clouding the Sanfilipposyndrome, resembles both the Hurler and Hunter syndromes, except that the physical defects are relatively mild, whereas the intellectual disabilityis severe. Like the Hurler syndrome, it is transmitted as an autosomal recessive. Ref ganong's review of medical physiology 25e